IL-1 & TNF-alpha during inflammation are secreted by?
1. Plasma cells
2. Lymphocytes
3. Activated macrophages
4. Platelets

Correct answer: 3. Activated macrophages